Individual organs are removed one by one in
1. Ghon's technique
2. Lettule's technique
3. Virchow's technique
4. Rokitansky technique

Correct answer: 3. Virchow's technique

Explanation: Refer the byte "Autopsy techniques and types".